New name of mental retardation according to American Association of Mental Retardation
1. Feeble Mindedness
2. Madness
3. Intellectual disability
4. Mentally unstable

Correct answer: 3. Intellectual disability

Explanation: * Intellectual disability (ID), also known as general learning disability, * Mental retardation (MR), is a generalized neurodevelopmental disorder characterized by significantly impaired intellectual and adaptive functioning REF : HARRISONS 19TH ED